Cocket and Dodd’s operations for
1. Saphenofemoral flush ligation
2. Subfascial ligation of Perforators
3. Deep vein thrombosis
4. Diabetic foot

Correct answer: 2. Subfascial ligation of Perforators